All are examples of Independent variables except:
1. Cause
2. Predisposing factors
3. Risk factor
4. Outcome

Correct answer: 4. Outcome

Explanation: Variables:
Independent variable

Eg: Cause, predisposing factor, risk factor
Can be manipulated

Dependent variable

Eg: Outcome, result, effect
Cannot be controlled or manipulated